G6PD -
1. Oxidizes NADPH
2. Reduces NADP
3. Oxidizes NAD
4. Reduces NAD

Correct answer: 2. Reduces NADP

Explanation: Ans. is 'b' i.e., Reduces NADP Glucose-6-Phosphate Dehydrogenase Deficiency* Abnormalities in the hexose monophosphate shunt or glutathione metabolism resulting from deficient or impaired enzyme function reduce the ability of red cells to protect themselves against oxidative injuries and lead to hemolysis.* The most important of these enzyme derangements is the hereditary deficiency of glucose-6-phosphate dehydrogenase (G6PD) activity.* G6PD reduces nicotinamide adenine dinucleotide phosphate (NADP) to NADPH while oxidizing glucose- 6-phosphate.* NADPH then provides reducing equivalents needed for conversion of oxidized glutathione to reduced glutathione, which protects against oxidant injury by participating as a cofactor in reactions that neutralize compounds such as H2O2.Role of glucose-6-phosphate dehydrogenase (G6PD) in defense against oxidant injury. The disposal of H202, a potential oxidant, is dependent on the adequacy of reduced glutathione (GSH), which is generated by the action of the reduced from of nicotinamide adenine dinucleotide (NADPH). The synthesis of NADPH is dependent on the activity of G6PD. GSSG, Oxidized glutathione.